Uses of platelet activating factor (PAF) are all EXCEPT
1. Rupture of mature graffian follicle and implantation
2. Haemostasis and thrombosis
3. Bronchial asthma
4. Congestive heart failure

Correct answer: 4. Congestive heart failure

Explanation: (Congestive heart failure) (182-83-KDT 6th)Pathophysiological role of PAF 1. Inflammation - Generated by leukocytes at the site of inflammation, PAF appears to participate in the causation of vasodilation, exudation, cellular infiltration and hyperalgesia2. Bronchial asthma - producing prolonged airway hyper- reactivity 3. Anaphylactic (and other) shock conditions4. Haemostasis and thrombosis 5. Rupture of mature graffian follicle and implantation6. Ischaemic states of brain, heart and g.i.t including GIT. ulcerationPlatelet Activating Factor (PAF) - is a cell membrane derived polar lipid with intense biological activity* PAF is acetyl-glyceryl ether- phosphoryl choline* PAF antagonist is - ginkgolide - BPlatelet - Aggregation Inhibitors - Abciximab, Aspirin, Clopidogrel, Dipyridamole, Eptifibatide, Ticlopidine, TirofibanAnticoagulants - Argatroban, Dalteparin, Enoxaparin, Fondaparinus, Heparin, Lepirudin, Warfarin